Infective form of entamoeba histolytica
1. Uninucleate cyst
2. Binucleate cyst
3. Quadrinucleate cyst
4. All of the above

Correct answer: 3. Quadrinucleate cyst

Explanation: Quadrinucleate cyst is the infective form.